A 40 year old female patient complains of burning sensation during micturition. Patient gives history of recurrent urinary tract infection. Urine culture reveals presence of E.coli. Which of the following enzyme synthesizes all the RNAs in the isolated organism in this patient?
1. DNA dependent RNA polymerase
2. DNA polymerase
3. RNA dependent DNA polymerase
4. None of the above

Correct answer: 1. DNA dependent RNA polymerase

Explanation: A single enzyme-DNA dependent RNA polymerase or simply RNA polymerase-synthesizes all the RNAs in prokaryotes. RNA polymerase of E.coli is a complex holoenzyme with five polypeptide subunits.
Satyanarayana- Biochemistry, 3rd edition, pg-542